Developmental Quotient is calculated as:
1. Average age at attainment / observed age at attainment x100
2. Observed age at attainment / average at attainment x100
3. Observed age at attainment x average age at attainment
4. Observed age at attainment / average age at attainment

Correct answer: 1. Average age at attainment / observed age at attainment x100

Explanation: Ans. A. Average age at attainment/observed age at attainment x100Significant delays on screening is an indication for a detailed formal assessment of developmental status. By assessment, one can assign developmental quotient (DQ) for any developmental sphere. A DQ below 70 is taken as delay